How much guttapercha should be left to prevent leakage for post placement?
1. 4mm
2. 2mm
3. 1mm
4. 3mm

Correct answer: 1. 4mm